Footplate of stapes is developed from
1. Meckel's cartilage
2. Otic capsule
3. Reicherts cartilage
4. Hyoid arch

Correct answer: 2. Otic capsule

Explanation: The stapes is formed from the dorsal end of the cartilage of the second pharyngeal arch. The ossicles are at first outside the mucous membrane of the developing ear. The foot process of stapes develops from the otic capsule. Inderbir Singh's; Human embryology; Tenth edition; Pg 368